19 year male develops painless penile ulcers 9 days after sexual intercourse with a professional sex worker likely dignosis is
1. Chancroid
2. Herpes
3. Chancre
4. Traumatic ulcer

Correct answer: 3. Chancre

Explanation: In chancroid the incubation period is 3_5 days . In syphilis the incubation period is9-90 days. In the primary stage there is indicated , clean, painless ulcer , which oozes serum on pressure. From illustrated synopsis of dermatology and sexually transmitted diseases neena khanna 5th edition page no 320